All are true regarding idiopathic edema of woman except -
1. It is due to estrogen mediated sodium retention
2. It is not related to menstrual cycle
3. There is increased water retention in upright position
4. ACE inhibitors can be useful in some cases

Correct answer: 1. It is due to estrogen mediated sodium retention